All seen in Pancoast syndrome except-
1. Brachial plexus involvement
2. Dyspnoea
3. Clubbing
4. Myasthenia gravis

Correct answer: 4. Myasthenia gravis